Toxigenicity of tetanus is done on ?
1. Rabbit
2. Horse
3. Mouse
4. Guinea pig

Correct answer: 3. Mouse